Mallory weiss syndrome common in
1. Chronic alcoholic patients
2. Smokers
3. Occupational benzene therapy
4. Bladder carcinoma

Correct answer: 1. Chronic alcoholic patients

Explanation: (Chronic alcoholic patients) (236, 1746-H) (242, 1854-H17th)Mallorv-Weiss Syndrome - classic history is vomiting, retching or coughing preceding hematemesis, especially in an alcoholic patients.* Bleeding usually on the gastric side of the gastroesophageal junction, Stops spontaneously in 80-90% of the patients and recors in only 0 to 5%* Endoscopic therapy is indicated for actively bleeding.* Angiographic therapy with intraarterial infusion of vasopressin or embolization and operative therapy with oversewing of the tear are rarely required.